In Beta thalassemia, there is -
1. Increase in beta chain ,decrease in alpha chain
2. Decrease in beta chain ,increase in alpha chain
3. Decrease in beta chain ,decrease in alpha chain
4. Increase in beta chain, increase alpha chain

Correct answer: 2. Decrease in beta chain ,increase in alpha chain

Explanation: Beta thalassemias are caused by decreased rate of beta chain synthesis resulting in reduced formation of Hb A in the red cells. A deficiency of beta globin chains in beta thalassemia leads to excess of alpha chains within the developing red cells.

Reference:Harsh mohan textbook of pathology sixth edition pg no 322.